Premalignant conditions for carcinoma larynx would include: -a) Leukoplakiab) Lichen planus c) Papillomasd) Smokinge) Chronic laryngitis
1. a
2. bc
3. ad
4. ace

Correct answer: 4. ace